Parathyroid develops from:
1. Branchial cyst
2. Branchial cleft
3. Branchial pouch
4. Branchial arch

Correct answer: 3. Branchial pouch

Explanation: Parathyroid gland develops from 3rd and 4th branchial or pharyngeal pouches. Superior parathyroid develop from the 4th pharyngeal pouch and inferior parathyroid develop from the 3rd pharyngeal pouch. Ref: Langman's medical Embryology, 9th Edition, Page 384.